A patient, without prior medication, breathes a gas mixture consisting of 50 percent nitrous oxide and 50 percent oxygen by volume. Which of the following effects would be expected
1. Analgesia
2. Excitation
3. Surgical anesthesia
4. Respiratory arrest

Correct answer: 1. Analgesia